Which of the following immunohistochemical marker can be used for the diagnosis of rhabdomyosarcoma?
1. Myeloperoxidase
2. Desmin
3. Cytokerain
4. Synaptophysin

Correct answer: 2. Desmin

Explanation: Desmin can be used for the diagnosis of rhabdomyosarcoma